Reversible change in which one differentiated cell type is replaced another type differentiated cell type
1. Metaplasia
2. Atropy
3. Hypertrophy
4. Hyperplasia

Correct answer: 1. Metaplasia